Community water fluoridation is important because
1. All groups of socio economic status have accessibility to it
2. Does not pose a health hazard
3. Leads to decrease in the dental caries incidence
4. All of the above

Correct answer: 4. All of the above